Muscle which is not there in a modiolus:
1. Depressor anguli oris.
2. Buccinator.
3. Zygomaticus major.
4. Zygomaticus minor.

Correct answer: 4. Zygomaticus minor.

Explanation: Modiolus is a point where eight muscles meet at the ANGLE OF MOUTH
1. Depressor anguli oris (or) triangularis
2. Levator anguli oris or caninus
3. Risorius
4. Orbicularis oris
5. Buccinator
6. Zygomaticus major
7. Quadratus labii superioris
8. Quadratus labii inferioris